At 35years Maternal age-related risk for Down syndrome in singleton pregnancy at midtrimester is
1. 1 in 31
2. 1 in 69
3. 1 in 149
4. 1 in 250

Correct answer: 4. 1 in 250

Explanation: Maternal Age-Related Risk for Down Syndrome at Midtrimester in Singleton PregnanciesAgeMidtrimester351/250371/149401/69411/53421/41431/31441/25451/19(Ref: William's Obstetrics; 25th edition)